Hemophilia is associated with which chromosome ?
1. X
2. Y
3. 13
4. 8

Correct answer: 1. X

Explanation: Hemophilia A and B - X linked recessive disorders. Hemophilia C - Autosomal recessive disorder. X linked recessive disorders SYSTEM DISEASE Musculoskeleton Duchenne Muscular dystrophy Blood Hemophilia A,B Chronic Granulomatous disease G-6-PD deficiency Immune Agammaglobinemia Wiskott-Aldrich Syndrome Metabolic Diabetes Insipidus Lesch-Nyhan Syndrome Nervous Fragile X Syndrome